Which of the following epithelial changes commonly signify precancerous condition:
1. Dyskeratosis
2. Hyperkeratosis
3. Parakeratosis
4. Acanthosis

Correct answer: 1. Dyskeratosis